Which structure passes through the infra orbital fissure?
1. Trochlear nerve
2. Zygomatic nerve
3. Superior ophthalmic vein
4. Ophthalmic artery

Correct answer: 2. Zygomatic nerve

Explanation: The inferior orbital fissure transmits the zygomatic nerve,the orbital branches of the pterygopalatine ganglion,the infraorbital nerve and vessels,and the communication between the inferior ophthalmic vein ad the pterygoid plexus of veins. The infraorbital groove and canal transmit the corresponding nerve and vessels. REF.BDC VOL.3,FIFTH EDITION